Non-nucleoside reverse transcriptase inhibitors (NNRTIs) include all of the following except
1. Nevirapine
2. Delavirdine
3. Efavirenz
4. Lamivudine

Correct answer: 4. Lamivudine

Explanation: ANTIVIRAL DRUGS CLASSI FICATION1.Anti-Herpes virusIdoxuridine, Acyclovir, Valacyclovir, Famciclovir, Ganciclovir*, Foscarnet*2 Anti-Retrovirus(a) Nucleoside reverse transcriptase inhibitors (Nis):Zidovudine (AZT), Didanosine, Zalcitabine*, Stavudine, Lamivudine, Abacavir(b) Nonnucleoside reverse transcriptase inhibitors(NNis): Nevirapine, Efavirenz, Delavirdine*(c) Protease inhibitors: Ritonavir, Indinavir, Nelfinavir, Saquinavir, Amprenavir*, Lopinavir3. Anti-Influenza virusAmantadine, Rimantadine*4. NonselectiVe antiviral drugsRibavirin, Lamivudine, Adefovir dipivoxil, Interferon alpha.ESSENTIALS OF MEDICAL PHARMACOLOGY K.D.TRIPATHI SIXTH EDITION PAGE NO:767